A pregnant patient with a positive test for gonorrhea and no testing for chlamydial infection should be treated with which of the following?
1. Ceftriaxone 250 mg IM once and azithromycin 1 g orally once
2. Cefixime 400 mg orally once
3. Erythromycin 500 mg orally four times daily for 7 days
4. Azithromycin 1 g orally once and amoxicillin 500 mg orally three times daily for 7 days

Correct answer: 1. Ceftriaxone 250 mg IM once and azithromycin 1 g orally once

Explanation: Treatment of Uncomplicated Gonococcal Infections During Pregnancy Ceftriaxone. 250 mg intramuscularly as a single dose Or Cefixime, 400 mg orally in a single dose Or Spectinomycin, 2g intramuscularly as a single dose Plus Treatment for chlamydial infection unless it is excluded The current treatment for uncomplicated gonococcal infection during pregnancy is 250 mg of ceftriaxone intramuscularly plus 1 g of azithromycin orally. The latterprovides another drug with a different mechanism of action against N gonorrhoeaeand treats chlamydial co-infections.